Which of the following is the strongest cholagogue?
1. Vagus nerve/Ach
2. Cholecystokinin
3. Bile acids
4. Secretin

Correct answer: 2. Cholecystokinin

Explanation: Cholagogues are the substances that increase the bile flow by causing gall bladder contraction. CCK is a cholagogue. Vagus nerve, bile acids are choleretics; they increase the bile secretion from liver.